Goitrogens include:
1. Papaya
2. Spinche
3. Cabbage
4. Orange

Correct answer: 3. Cabbage

Explanation: (Cabbage): Ref: 782-LB (777-B & L 25th)GOITROGENS: are the vegetables of the brassica family (cabbage, kale and rape) contain thiocyanats, drugs such as PAS, and of course, the anti-thyroid drugs* Surprisgly enough, iodides in large quantities are goitrogenic because they inhibit the organic binding of iodine and produce an iodide goitre* Excessive iodine intake may be associated with an increased incidence of auto immune thyroid disease